Partner treatment is not required in all of the following except
1. Bacterial vaginosis
2. Herpes genitalis
3. Candidal vaginitis
4. Trichomoniasis

Correct answer: 4. Trichomoniasis

Explanation: Trichomoniasis is acquired by sexual route by tranmission of T.vaginalis and hence partner treatment is required.